The enzyme ^9 desaturase catalyzes the conversion of stearic acid into?
1. Linolenic acid
2. Linoleic acid
3. Oleic acid
4. All of the above

Correct answer: 3. Oleic acid

Explanation: The enzyme ^9 desaturase, in endoplasmic reticulum, catalyzes conversion of stearic acid to oleic acid, which is a MUFA. ^9 desaturase is a mixed-function oxidase, requiring NADPH and O2. Humans cannot introduce double bonds beyond ^9 position (between C10 and terminal methyl group). Hence, linoleic (D9,12 ) and linolenic acid (D 9,12,15) are considered essential fatty acids. Reference: Harper's Illustrated Biochemistry 30th Edition Pg 239